In anoxia of liver, necrosis is seen in -a) Centrilobularb) Around the peripheryc) Around the central veind) Around the bile duct
1. ac
2. bc
3. ad
4. b

Correct answer: 1. ac

Explanation: Architecture of liver lobule

Liver is divided into hexagonal lobules oriented around the terminal tributaries of the hepatic vein (Terminal hepatic veins), i.e. Terminal hepatic vein is in the centre of the lobule and area around the hepatic vein is called centrilobular zone.
At peripheri of lobule, lies the portal tract containing hepatic artery, bile duct and portal vein. Area around portal tract is called periportal zone.
Area between periportal zone and centrilobular zone is called midzonal area.
So, the blood supply (hepatic artery & portal vein) comes from the peripheral part of the lobule → thus periportal area is nearest to the blood supply and least susceptible to ischemic necrosis, on the other hand centrilobular area is farthest from blood supply and is most susceptible to ischemic necrosis.

Following information have been added in 8th/e of Robbins 

Acute liver failure is defined as an acute liver illness that is associated with encephalopathy within 6 months after the initial diagnosis.
Fulminant liver failure → when encephalopathy develops rapidly, within 2 weeks of the onset of jaundice.
Subfulminant liver failure → when encephalopathy develops within 3 months of onset of jaundice.